After their maturation in the thymus and release into the circulation, T lymphocytes migrate preferentially to which of the following sites?
1. Para cortex of lymph nodes
2. Cortical lymphoid nodules of lymph nodes
3. Hilum of lymph nodes
4. Lymphoid nodules of the tonsils

Correct answer: 1. Para cortex of lymph nodes

Explanation: T lymphocytes are preferentially located in the paracortex of lymph nodes